What is the name of this test to be done before drawing an arterial blood gas sample:
1. Virchow test
2. Water hammer test
3. Allen test
4. Trendelenburg test

Correct answer: 3. Allen test

Explanation: c. Allen testA - Both radial & ulnar artery are occluded;B - Ulnar artery kept occluded, Radial artery released; These are steps of Allen's test